A child can climb upstairs and downstairs 2 foot/step, make tower of 6 cubes and can speak 10 words with meaning. Assuming that the development of this child is normal, this child can do all of the following except
1. Draw a circle copies circle
2. Kick a ball
3. Feeds well with spoon
4. Domestic mimicry (copies parents in task)

Correct answer: 1. Draw a circle copies circle

Explanation: This child is 2 years old

A child can feed well with spoon at 18 months.
Do domestic mimicry by 18 months.
Kick a ball by 2 years.

But a child can copy circle by 3 years of age.